Drug of choice for neurocysticercosis is :
1. Praziquantel
2. Albendazole
3. Levamisole
4. Piperazine

Correct answer: 2. Albendazole